Which is not cysticidal for entamoeba -
1. Paramomycin
2. Chloroquine
3. Tetracycline
4. Diloxanide

Correct answer: 2. Chloroquine

Explanation: Ans. is 'b' i.e., Chloroquine o Chloroquine kills trophozoites of E. histolytica (not cysts). Therefore, it is used in hepatic amoebiasis only. o All other three drugs are luminal amoebicides - Drugs directly kills trophozites responsible for production of cysts (cysticidal effect).